Which of the following strategy has been recommended to reduce the heredity risk for ovarian cancer in women with BRCA -1 and BRCA-2 mutations :
1. Use of oral contraceptive pills
2. Screening with transvaginal ultrasound
3. Sreening with CA -125
4. Prophylactic oophorectomy

Correct answer: 4. Prophylactic oophorectomy

Explanation: - women with strong family history of BRCA 1 and BRCA 2 mutations have high chance of developing ovarian cancer. - they are advised to undergo genetic testing for mutations of these genes. - in such women who are positive for such genes and have completed their family is advised to have prophylactic bilateral salpingo oophorectomy after 35 and before 40. Reference: Textbook of gynaecology Sheila balakrishnan, 2nd edition, pg no:276